To eradicate measles the percentage of population to be vaccinated is at least_____%:
1. 70
2. 80
3. 85
4. 95

Correct answer: 4. 95